Which of the following is commonly used as a rave drug?
1. Cannabis
2. Cocaine
3. Heroin
4. Ecstasy

Correct answer: 4. Ecstasy

Explanation: MDMA (more commonly known as "Ecstasy"), Gamma-hydoxybutyrate (GHB) and Rohypnol (also known as the "date rape" drugs) are the popular rave drugs. Ecstasy (3, 4 Methylene-DioxyMethAmphetamine-MDMA) is a stimulant with hallucinogenic properties is the main rave drug. It produces a feeling of increased energy, euphoria, emotional warmth, hallucinations other general symptoms of stimulants and is commonly used drug at rave parties.It may produce unpleasant tactile experiences together with tismus (spasm of muscle of mastication) and bruxism (grinding of teeth). Ref: Essentials of forensic medicine and toxicology 27th Edition, Page 527; Write Youth, drugs, and nightlife By Geoffrey Hunt, Molly Moloney, Kristin Evans, Page 27